Which color of triage is given the highest priority?
1. Red
2. Green
3. Yellow
4. Black

Correct answer: 1. Red

Explanation: Ans. a. Red (Ref: Sabiston 19/e p609-610)Triage means 'to sort,' involves prioritizing victims into categories based on their severity of injury, likelihood of survival, and urgency of careQ. Red color is given first priority and signifies a critical patientQ.TriageTriage means 'to sort,' involves prioritizing victims into categories based on their severity of injury, likelihood of survival, and urgency of careQ.The method of triage widely used by municipalities is the START triage scheme, which stands for simple triage and rapid treatmentQ. This is accomplished by color tagging of patients.Red color* First priority and signifies a critical patientQYellow color* Urgent, second priorityQGreen color* Minor injuries, ambulatory patient, third-priorityQBlack color* Expectant or dead patientsQ